The cresent forming glomerulonephritis is -
1. RPGN
2. Acute GN
3. Membranous GN
4. Membrano proliferative GN

Correct answer: 1. RPGN